Most dominant colonic bacteria is
1. Escherichia coli
2. Bacteroides
3. Clostridium
4. Veilonella

Correct answer: 2. Bacteroides

Explanation: Bacteroids are the normal inhabitants of the intestine, respiratory, female genital tract. the normal flora of adult colon contains 96 to99% of anaerobes and only 1 to 4% of aerobes. Anaerobes - Bacteroides species, bifidobacteria, anaerobic lactobacilli, anaerobic streptococci. Ref: Baveja textbook of microbiology; 4th edition.